A case of meningomyelocele was posted for surgery. Till the patient is waiting for surgery, the covering of the sac will be protected by a gauze soaked in:
1. Normal saline
2. Tincture iodine
3. Methylene blue
4. Mercurochrome

Correct answer: 1. Normal saline

Explanation: a. Normal saline(Ref: Nelson's 20/e p 2802-2803, Ghai 8/e p 575-577)Meningomyelocele is covered with sterile saline-soaked gauze to prevent it from drying, trauma and infection